Which of the following anti-tubercular drug can cause hypothyroidism?
1. Cycloserine
2. Ethionamide
3. INH
4. Rifampicin

Correct answer: 2. Ethionamide

Explanation: Ethionamide and PAS are associated with hypothyroidism ADVERSE EFFECTS OF SECOND LINE ATD: Thioacetazone (tuberculostatic drug): Hepatitis, bone marrow suppression and Steven Johnson syndrome. Para amino salicylic acid (PAS) can cause kidney, liver and thyroid dysfunction. Ethionamide can cause hepatitis, optic neuritis and hypothyroidism. Cycloserine can cause neuropsychiatric adverse effects. Kanamycin, Amikacin and Capreomycin can cause ototoxicity, nephrotoxicity, hypokalemia and hypomagnesemia. Rifabutin commonly causes gastrointestinal adverse effects. Rarely, it can cause anterior uveitis, clostridium difficile-associated diarrhea, diffuse polymyalgia syndrome, yellow skin discoloration (Pseudo-jaundice) and pancytopenia.